The maxillary molar crown of an early fossil primate featured a trigone made of three main cusps; these cusps were:
1. Distobuccal, distolingual and Mesiolingual
2. Distolingual, Mesiobuccal, and linguo buccal
3. Mesiobuccal, Distobuccal and Mesiolingual
4. Mesiolingual, Mesiobuccal and distolingual

Correct answer: 3. Mesiobuccal, Distobuccal and Mesiolingual